Cerebral salt-wasting syndrome features include all except
1. Hypernatremia
2. Polyuria
3. Hypotension
4. Dysautonomia

Correct answer: 1. Hypernatremia

Explanation: Signs and symptoms of CSWS include large amounts of urination (polyuria-at least 3 liters of urine output over a 24-hour period for adults) due to inadequate sodium retention in the body, dysfunction of the autonomic nervous system, and dehydration,low blood sodium concentration(hyponatremia),hypotension Advanced symptoms include muscle cramps, lightheadedness, dizziness or vertigo, feelings of anxiety or panic (not mentally induced), increased heart rate or slowed heart rate, low blood pressure and orthostatic hypotension Ref Harrison20th edition pg 2456